Acute Fatty liver of pregnancy, true is
1. Is most common cause of acute liver failure during pregnancy
2. Manifests in early week of pregnancy
3. Hepatic dysfunction persists postpartum
4. Some develop transient diabetes mellitus in post partum period.

Correct answer: 1. Is most common cause of acute liver failure during pregnancy

Explanation: Acute fatty liver of pregnancy manifests late in pregnancy.
It resolves in post partum. some might develop transient diabetes insipidus in post partum period.